S-ECC in a child 2, 3 or 4 years of age is characterized by:
1. Early involvement of maxillary and mandibular molars & the mandibular canines
2. Mandibular incisors, maxillary & mandibular molar
3. Mandibular incisors & maxillary canine
4. Mandibular premolars & maxillary premolars

Correct answer: 1. Early involvement of maxillary and mandibular molars & the mandibular canines